Drug used in aneliorative test for Myasthenia gravis is
1. Physostigmine
2. Edrophonium
3. Tacrine
4. Pyridostigmine

Correct answer: 2. Edrophonium

Explanation: Drug used in amellorative test (tensilon test) for myasthena gavis is edrophonium. It is a cholinergic drug and can be used for diagnosis of myasthenia gravis becaise of its short duration of action (10-30 min) Ref-KDT 6/e p104